Cicatrising alopecia with perifollicular blue- gray patches is most commonly associated with
1. erythematous scaly plaques
2. Whitish lacy lesions in the buccal mucosa
3. Arthritis
4. Discoid plaques in the face

Correct answer: 2. Whitish lacy lesions in the buccal mucosa

Explanation: cicatrising alopecia with perifollicular pigmentation is characteristic of lichen planus involving scalp. seen in association with whitish lacy lesions in buccal mucosa-'wickhams straie' erythematous scaly plaques with arthritis is seen in psoriasis but it is not associated with cicatricial alopecia of scalp with peri follicular pigmentation discoid plaques are seen in discoid lupus erythematosus. this is associated with cicatricial alopecia of scalp with follicuar plugging - carpet tack sign positive on removal of thick scale. IADVL text boook of dermatology